A 30-year-old class D diabetic is concerned about pregnancy. She can be assured that which of the following risks is the same for her as for the general population?
1. Preeclampsia and eclampsia
2. Infection
3. Fetal cystic fibrosis
4. Postpartum hemorrhage after vaginal delivery

Correct answer: 3. Fetal cystic fibrosis

Explanation: Maternal diabetes mellitus can affect a pregnant woman and her fetus in many ways. The development of preeclampsia or eclampsia is about 4 times as likely as among nondiabetic women. Infection is also more likely not only to occur but to be severe. The incidences of fetal macrosomia or death and of dystocia are increased, and hydramnios is common. The likelihood of postpartum hemorrhage after vaginal delivery and the frequency of cesarean section are both increased in diabetic women. The incidence of fetal genetic disorders such as cystic fibrosis is unaffected by diabetes.